Where are the dentists feet during any procedure when four handed dentistry is practiced
1. On the stool support rim
2. On the floor
3. On the dental chair base
4. Where ever is convenient

Correct answer: 2. On the floor